The glucose transporter which is stimulated by insulin is located in:
1. Brain and retina
2. Liver and beta cells of pancreas
3. Skeletal muscle and adipose tissue
4. RBCs and intestine

Correct answer: 3. Skeletal muscle and adipose tissue

Explanation: Key Concept:

Widely distributed Glucose transporter-GLUT-1
Most abundant Glucose transporter in RBC-GLUT-1
Major glucose transporter of Brain-GLUT-1
Major glucose transporter of neurons-GLUT-3
Major glucose transporter of placenta-GLUT-1
Glucose transporter of blastocyst-GLUT-8
Insulin-dependent Glucose transporters-GLUT-4, GLUT-8, GLUT-12
GLUT-3 is present in neurons, whereas GLUT-1 is not present in neurons
Urate transporter is GLUT-9